All of the following are true regarding removal of dentin smear layer during root canal preparation except:
1. Removal of dentin smear layer is done by using 37% EDTA
2. Dentin smear layer contains debris and microoroganism
3. Removal of dentin smear layer removes microorganism
4. Removal of dentin smear layer is enhanced by EDTA

Correct answer: 1. Removal of dentin smear layer is done by using 37% EDTA